18-8 Stainless steel orthodontic wire has:
1. 18% Nickel 8% Chromium
2. 18% Chromium 8% Nickel
3. 18% Chromium 8% Cobalt
4. 18% carbon 8% Iron

Correct answer: 2. 18% Chromium 8% Nickel